In acute pulmonary embolism, the most frequent ECG finding is
1. S1Q3T3 pattern
2. P. pulmonale
3. Sinus tachycardia
4. Right axis deviation

Correct answer: 3. Sinus tachycardia

Explanation: The most frequently cited abnormality in pulmonary embolism is sinus tachycardia.Apart from that,it also shows S1Q3T3 sign-an S wave in lead I,a Q wave in lead III,and an inverted T wave in lead III.This finding is relatively specific. S1Q3T3 pattern in ECG of pulmonary embolism is also termed as Mc Ginn White Sign. Reference:Harrison's medicine-18th edition,page no:2172.